A 3-year-old boy is diagnosed as having a persistent processus vaginalis in its middle portion. Which of the following conditions is most likely to be associated with this developmental anomaly?
1. Direct inguinal hernia
2. Gubernaculum testis
3. Hematocele
4. Hydrocele

Correct answer: 4. Hydrocele

Explanation: If a middle portion of the processus vaginalis persists, it forms a congenital hydrocele. If the entire processus vaginalis persists, it develops a congenital indirect inguinal hernia. Gubernaculum testis is the fetal ligament that connects the bottom of the fetal testis to the developing scrotum. Hematocele is an effusion of blood into the cavity of the tunica vaginalis. Cryptorchidism Failure of the testis to descend from the abdomen to the scrotum. High temperature in abdominal cavity-inhibition of spermatogenesis-Sterility.